Dalen Fuch's nodules seen in
1. Sympathetic Ophthalmitis
2. Chronic iridocyclitis
3. Neurofibromatosis
4. Trachoma

Correct answer: 1. Sympathetic Ophthalmitis

Explanation: (Refer: AK Khurana Comprehensive Ophthalmology, 6th edition, pg no. 163, 437)Dalen Fuch's nodules are seen in sympathetic ophthalmitisDalen-Fuchs' are formed due to the proliferation of the pigment epithelium (of the iris, ciliary body, and choroid) associated with invasion by the lymphocytes and epithelioid cells. Retina shows perivascular cellular infiltration (sympathetic perivasculitis)